Chloroquin is indicated in treatment of
1. Pemphigus
2. Pempigoid
3. Psoriasis
4. DLE

Correct answer: 4. DLE

Explanation: D i.e. DLE Chloroquine is used in treatment of DLE & SLE and it does not produce lupus like pictureQ. Chloroquine is drug of choice for malaria caused by all plasmodium ovale/malariae/knowlesi and chloroquine sensitive P. falciparum & P. vivax. Chloroqione is also useful in? nic Use of chloro uine Dr = DLE S SLE, SarcoidosisQ, Severe polymorphous light eruption M Malaria Pandey = Porphyria cutanea tarda (PCT) Has Entered = Hepatic (Extraintestinal) amoebiasis In = Infectious mono nucleosis Labour = Lepra reactionQ Room = Rheumatoid arthritis